Fetishism is sexual gratification by
1. Injury by the other partner
2. Wearing clothes of opposite sex
3. Public exposure of genital organs
4. Seeing clothes of opposite sex

Correct answer: 4. Seeing clothes of opposite sex

Explanation: FETISHISMThe hallmark of fetishism is long-standing compulsive sexual interest in nonliving objects that are used to generate sexual excitement. In the ordinary human life, males do report having interest and attraction to object worn by their sexual partners such as brassieres, panties, garter belts, hose, and boots/socks, etc. However, fetishism is an extreme exaggeration of an attachment to objects and the individual may go to extremes to obtain fetishistic objects (e.g., breaking into houses to steal the things/objects).Ref: Textbook of Forensic Medicine and Toxicology; 5th edition; Chapter 29 Forensic Psychiatry; Page no: 425